Predisposing factor for Breast cancer are all EXCEPT:
1. Abscess
2. Positive family history
3. Nulliparity
4. High socio-economic status

Correct answer: 1. Abscess

Explanation: Ans. A i.e. Abscess Breast Peau'd orange is due to: Lymphatic permeation Risk factors for breast Ca: - Positive family history, - Nullipara, - Fatty food intake, - Mammary dysplasia/ atypical hyperplasia/ sclerosing adenosis Management of stage I & II of breast Ca: Lumpectomy/ breast conservative therapy + axillary clearance + radiotherapy Mondor's disease is: Thrombophlebitis of breast (superficial veins) Cystosarcoma phylloides: - Serocystic disease of Brodie, - Benign breast tumour